Which is false regarding Spaulding's criteria?
1. Non critical items require only decontamination
2. Semi critical items are those which come in contact with mucous membrane or non intact skin
3. Semi critical items need low level disinfection
4. Cardiac catheters are examples of critical items

Correct answer: 3. Semi critical items need low level disinfection

Explanation: Semitcritical items need low level disinfection . Non Critical - Objects that touch only intact skin require low-level disinfection processing; noncritical items are divided into noncritical patient care items and noncritical environmental surfaces. Critical Semicritical Noncritical Sterilization High-level disinfection Low-level disinfection Level germicidal action Kill all microorganisms, including bacterial spores Kills all microorganisms except high numbers of bacterial spores Kill vegetative bacteria, fungi and lipid viruses. Device Surgical instruments and devices; cardiac catheters; implants; etc Respiratory therapy and anesthesia equipment, GI endoscopes, endocavitary probes, Tonometers, Diaphragm fitting rings, etc Bedpans; crutches; bed rails EKG leads; bedside table, walls floors and furniture Method Steam, gas (ethylene oxide), hydrogen peroxide plasma or chemical sterilization High level disinfection (hydrogen peroxide, orthophthalaldehyde, Glutaraldehyde) Low-level disinfection (or detergent for housekeeping surfaces) High-level disinfection traditionally is defined as complete elimination of all microorganisms in or on an instrument, except for small numbers of bacterial spores. The FDA definition of high-level disinfection is a sterilant used for a shorter contact time to achieve a 6-log10 kill of an appropriate Mycobacterium species